Fluid of choice in an infant with diarrhea is:
1. ORS
2. Dextrose
3. Salt water
4. Sugar water

Correct answer: 1. ORS

Explanation: ORS is now the global standard of care and is more effective than home fluids, including decarbonated soda beverages, fruit juices, and tea for fluid replacement in diarrhea.